Active metabolite of carisoprodol is:
1. Amphetamine
2. Meprobamate
3. Doxylamine
4. Dimethadione

Correct answer: 2. Meprobamate

Explanation: Meprobamate